40 year old male patient presents to the Emergency department with central chest pain for 2 hours. The ECG shows ST segment depression and cardiac troponins are elevated. Patient has a positive history of previous PCI 3 months back. He is administered Aspirin, Clopidogrel, Nitrates and LMWH, in the Emergency Department and shifted to the coronary are unit. The best recommended course of further action should include.
1. Immediate Revascularization with Thrombolytics
2. Early Revascularization with PCI
3. Continue conservative management and monitoring of cardiac enzymes and ECG
4. Continue conservation management and plan for delayed Revascularization procedure after patient is discharged

Correct answer: 2. Early Revascularization with PCI

Explanation: Answer is B (Early Revascularization with PCI) The patient presenting as a case of NSTE M I to the emergency department. The presence of elevated cardiac troponins and history of previous PCI place the patient into a high 'risk category'. The Patient in question is th 10 a 'high risk' patient with NSTEMI Such patients are candidates for early invasive management with PCl/CABG.